Bacterial meningitis in children (2 months-12 years of age) is usually due to the following organisms except:
1. Streptococcus pneumoniae
2. Neisseria meningitidis
3. Hemophilus influenzae type B
4. Listera monocytogenes

Correct answer: 4. Listera monocytogenes

Explanation: Listeria monocytogenes cause meningitis < 2months and > 55yrs. Ref: Text Book of Pediatrics By Nelson, 17th Edition, Page 2038